Guedel airway is a type airway adjunct:
1. Oropharyngeal.
2. Nasopharyngeal.
3. Orotracheal.
4. Nasotracheal.

Correct answer: 1. Oropharyngeal.